All of the following are of the size of adult at birth except -
1. Tympanic membrane
2. Ossicle
3. Cochlea
4. Mastoid process

Correct answer: 4. Mastoid process